Which of the following would you expect to find in a patient whose diet has been low in cakcium for 8 weeks?
1. Increased phosphate levels
2. Raised calcitonin levels
3. Increased parathormone secretion
4. Activation of 24-25 dihydrocholecalciferol

Correct answer: 3. Increased parathormone secretion

Explanation: C i.e. Increased Parathormone secretion